True statement regarding fracture of the clavicle is -
1. Most common complication is malunion
2. Occurs at the jn. of medial 1/3rd & lateral 2/3rd
3. Usually occurs due to fall on elbow
4. Communitted fracture is common

Correct answer: 1. Most common complication is malunion

Explanation: Most common complication of clavicle fracture is malunion.
The commonest site of fracture is at the junction of the middle third and lateral third (at the junction of medial 2/3rd and lateral 1/3rd).
The fracture usually occurs due to fall on the shoulder and sometimes fall onto the outstretched hand.
Usually, clavicle breaks into two fragments. A comminuted fracture is rare.